Cancers caused by asbestosis include all except?
1. Laryngeal cancer
2. Mesothelioma
3. lung carcinoma
4. Bladder cancer

Correct answer: 4. Bladder cancer

Explanation: Asbestosis: Pleural plaque is the most common manifestation of asbestosis Involves base of the lung Clinical feature: thickened fibrotic pleura Presence of ferruginous bodies (long thin asbestos fibers coated with iron & calcium) cancers associated with Asbestosis- - Bronchogenic carcinoma (m/c) - Mesothelioma (most specific)